Under the ICDS scheme a child of 12 months age who is severely malnourished will get supplementary nutrition amounting to:
1. 500 calories and 12-15 grams protein
2. 800 calories and 20-25 grams protein
3. 600 calories and 18-20 grams protein
4. 500 calories and 20-25 grams protein

Correct answer: 2. 800 calories and 20-25 grams protein

Explanation: Beneficiaries of the supplementary nutrition initiative under the ICDS programme are as follows: Group of beneficiary Supplement 6-72 month children 500 calories and 12-15 grams protein 6-72 month children with severe malnourishment 800 calories and 20-25 grams protein Pregnant and lactating mothers 600 calories and 18-20 grams protein Ref: Park, 21st Edition, Page 545